Sea - Fan retina is a feature of
1. CRAO
2. CRVO
3. Sickle cell retinopathy
4. Chloroquine retinopathy

Correct answer: 3. Sickle cell retinopathy

Explanation: Sickle cell disease - Sea - Fan retina.